Burning sensation in middle finger Triceps Reflex is weak Slip disc?
1. C6-C7
2. C5-C6
3. C3-C4
4. C2-C3

Correct answer: 1. C6-C7

Explanation: HERNIATED DISC B/W COMPRESSED NERVE ROOT DERMATOME AFFECTED MUSCLES AFFECTED MOVEMENT WEAKNESS NERVE AND REFLEX INVOLVED C6 and C7 C7 C7 middle finger Triceps wrist extensors extension of forearm extension of wrist radial nerve | triceps jerk